FALSE for seminal vesicles:
1. Contains large amount of fructose
2. Stores sperms
3. Situated on either side near prostate
4. Secretion of seminal vesicle gives mucoid consistency to semen

Correct answer: 2. Stores sperms

Explanation: Ans. B i.e. Stores spermsSperms are stored in epididymis